Which of the following method is used for the analysis of the C-terminal end of a polypeptide?
1. Sanger's method
2. Edman's degradation method
3. Akabori method
4. None of the above

Correct answer: 3. Akabori method

Explanation: Akabori method is used for the analysis of C-terminal end of a polypeptide N-terminal analysis Carboxy-terminal analysis For post-translational modifications Sanger's reagent- fluoro-2,4 dinitrobenzene (FDNB) Carboxypeptidase assay Mass spectrometry Edman's reagent- Phenylisothiocyanate (PITC) Akabori reaction